Conduction velocity in AV node & SA node?
1. 0.05 meter/sec
2. 0.5 meter/sec
3. 1 meter/sec
4. 5 meter/sec

Correct answer: 1. 0.05 meter/sec

Explanation: Ans .a.0.05 meter/sec [ref Genong2}n/eP' 522)